Feature of deficiency of the enzyme alkaline phosphatase:
1. Absence of cementum.
2. Resorption of bone.
3. Ankylosis of teeth.
4. All of the above.

Correct answer: 1. Absence of cementum.

Explanation: Hypophosphatasia is due to deficiency of enzyme alkaline phosphatase in serum or tissues and excretion of phosphoethanol amine in the urine.
Loosening and premature loss deciduous teeth. Chiefly the incisors, irregular qualifications of metaphyses of long bones are important features. The teeth characteristically shows absence of cementum as a result of failure of cementogenesis. So, there is no sound functional attachment of the tooth to bone by periodontal ligament and this accounts for early toss of deciduous teeth.